WHO global target for prevention and control of oncommunicable disease by 2025 is to decrease hypertension by:
1. 25%
2. 35%
3. 55%
4. 75%

Correct answer: 1. 25%

Explanation: Ans. a. 25%Ref: WHO guidelineWHO "Global monitoring framework on NCDs" tracks implementation of the "NCD global action plan" through monitoring and reporting on the attainment of the 9 global targets for NCDs, by 2025, against a baseline in 2010.WHO GLOBAL ACTION PLAN FOR THE PREVENTION AND CONTROL OF NCDSLabelInterventionTarget 1A 25% relative reduction in the overall mortality from cardiovascular diseases, cancer, diabetes, or chronic respiratory diseasesTarget 2At least 10% relative reduction in the harmful use of alcohol, as appropriate, within the national contextTarget 3A 10% relative reduction in prevalence of insufficient physical activityTarget 4A 30% relative reduction in mean population intake of salt/sodiumTarget 5A 30% relative reduction in prevalence of current tobacco use in persons aged 15+ yearsTarget 6A 25% relative reduction in the prevalence of raised blood pressure or contain the prevalence of raised blood pressure, according to national circumstancesTarget 7Halt the rise in diabetes and obesityTarget 8At least 50% of eligible people receive drug therapy and counseling (including glycemic control) to prevent heart attacks and strokesTarget 9An 80% availability of the affordable basic technologies and essential medicines, including generics, required to treat major NCDs in both public and private facilities